The surgery of choice for diffuse endometriosis interna is :
1. Total hysterectomy
2. Localised excision of the affected area
3. Hysterectomy + Oophorectomy
4. Oophorectomy

Correct answer: 1. Total hysterectomy

Explanation: Total hysterectomy